The investigation of choice for an ectopic pregnancy is:
1. CT scan
2. Transvaginal USG
3. Serum HCG levels
4. MRI

Correct answer: 2. Transvaginal USG

Explanation: B i.e., Transvaginal USG